More than normal posterior angle indicate:
1. Horizontal growth
2. Vertical growth
3. Sagittal growth
4. No significance

Correct answer: 2. Vertical growth

Explanation: Rakosi- Jarabak analysis
The sum of  posterior angles i.e. the cranial base (N–S–Ar), articular (S–Ar–Go), and gonial angles (Ar–Go–Me)> 396 degrees indicates clockwise direction of growth i.e. vertical growth.
The sum of  posterior angles i.e. the cranial base (N–S–Ar), articular (S–Ar–Go), and gonial angles (Ar–Go–Me)< 396 degrees indicates anticlockwise direction of growth i.e. horizontal growth.